A family where all of its members are playing a part in its management is known as:
1. Elementary family
2. New family
3. 3-Generation family
4. Communal family

Correct answer: 4. Communal family

Explanation: Communal family: Is a family where all of its members are playing a defined part in its management. - it is a good example of 'division of labour', an important function of family. New family / Elementary family: - Family with marriage duration < 10yrs. 3 Generation family: - Household with members of 3 successive generations. - Type of joint family & males are related by blood. Also Remember Most powerful example of social cohesion: Family Nuclear family: Currently married couple with or without dependent kid(s). Joint family: More than 1 currently married couples with or without dependent kid(s) where males are related by blood. Share a common kitchen/held-property/ pool-of-income. Authority is rested in Senior member of family.